The ideal treatment of stenosis of sphineter of Oddi is -
1. Transduodenal sphincteroplasty
2. Endoscopic sphincterotomy
3. Choledochojejunostomy
4. Choledochoduodenostmy

Correct answer: 2. Endoscopic sphincterotomy

Explanation: Ans. is 'b' i.e. Endoscopic sphincterotomy